. The human plasma lipoprotein containing the highest percentage of triacylglycerol by weight is:
1. VLDL
2. Chylomicrons
3. HDL
4. LDL

Correct answer: 2. Chylomicrons

Explanation: B i.e. Chylomicrins Lipoproteins may be differentiated on the basis of their lipid & protein compositions. The lipoproteins containing the largest percentage of triacylglycerol are Chylomicrons (90%).